Inclusion body conjunctivitis true is all except:
1. Self limiting
2. Present only in infants
3. Occurs while passage from birth canal
4. Caused by chlamydia

Correct answer: 2. Present only in infants

Explanation: Ans. Present only in infants